Beer drinker's heart is associated with
1. Copper
2. Magnesium
3. Molybdenum
4. Cobalt

Correct answer: 4. Cobalt

Explanation: Beer drinker's heart is associated with COBALT. C/F of cobalt toxicity: 1. Classic toxidrome of chronic cobalt poisoning: Tetrad of -Goitre -Polycythaemia -Cardiomyopathy -Metabolic acidosis. 2. Chronic inhalation of cobalt - hard metal lung disease, characterised by pulmonary fibrosis and an obstructive airway syndrome. 3. Regular consumption of beer to which cobalt chloride or sulfate is added (to enhance foaming),results in cardiomyopathy, k/a Beer drinker's heart. 4. Dermal contact can cause "cobalt itch" or "carboloy-itch" (an allergic erythematous papular eruption).